About SUPERANTIGENS true is
1. Immune response is increased by 5%
2. Needs to be processed before presentation
3. They are presented by APCs to T cell
4. Directly attached to latrel aspect of TCR beta chain

Correct answer: 4. Directly attached to latrel aspect of TCR beta chain

Explanation: Super antigens are molecules that can interact with antigen-presenting cells (APCs) and T-lymphocytes in a non-specific manner. 
These antigens do not involve the endocytic processing as required in typical antigen presentation. 
Interaction of superantigens with MHC class II molecules of the APC and the V~ domain of the T-lymphocytes receptor activates a large number of T-lymphocytes than conventional antigens. 
This leads to massive cytokine expression and immuno-modulation.
Staphylococcal enterotoxins, exfoliative toxin and some viral proteins are examples of superantigens.

Ref : textbook of microbiology, C P Baveja 5th edition pg no:95